Monoclonal antibody acting as enzyme is called as:
1. Granzyme
2. Abzyme
3. Lipozyme
4. None of the above

Correct answer: 2. Abzyme

Explanation: B i.e. AbzymeRef: Biotechnology, Vol. XI, Abzymes-A Challenge for the Medical Biotechnology and Public Health -1. Getov, T. ArgirovaExplanation:AbzymesAbzymes are antibodies with catalytic activity.They combine the specificity and substrate turnover efficiency of the enzymes with the selective targeting of the antibodies.LipozymeAn enzyme of the hydrolase class that catalyzes the reaction of triacylglycerol and water to yield diacylglycerol and a fatty acid anion.It is produced by glands on the tongue and by the pancreas and initiates the digestion of dietary fats.Granzymes:Serine proteases that are released by cytoplasmic granules within cytotoxic T cells and natural killer (NK) cells.They induce programmed cell death in the target cell, thus eliminating cells that have become cancerous or are infected with viruses or bacteria.Note:Natural Abzymes with proteolytic activity are called Protabzymes*.DNA hydrolyzing activity are called DNA Abzymes*.